Nitisinone is an example of
1. Enzyme activation therapy
2. Enzyme replacement therapy
3. Substrate addition therapy
4. Substrate reduction therapy

Correct answer: 4. Substrate reduction therapy

Explanation: Nitisinone is prescribed for infantile tyrosinemia because it decreases production of the substrate (fumarylacetoacetate) for the hydrolase, thus decreasing the velocity of the reaction preventing substrate accumulation.